Hepatic encephalopathy is caused by an increase of ?
1. Urea
2. Glutamate
3. Ammonia
4. Fattyacid

Correct answer: 3. Ammonia

Explanation: Ans. is 'c' i.e., AmmoniaHepatic encephalopathy is characterized by altered level of consciousness, caused by liver disorder.Liver disorder is characterized by elevation of ammonia. As liver is considered with detoxification of ammonia to form urea, in liver failure ammonia level is elevated.Hepatic encephalopathy basically presents with manifestations of CNS depression